All are examples of microvascular causes of acute kidney injury, EXCEPT:
1. Antiphospholipid antibody syndrome
2. Radiation nephritis
3. Thrombotic thrombocytopenic purpura
4. Renal vein thrombosis

Correct answer: 4. Renal vein thrombosis

Explanation: Microvascular causes of AKI are Thrombotic microangiopathies Antiphospholipid antibody syndrome Radiation nephritis Malignant nephrosclerosis Thrombotic thrombocytopenic purpura/hemolytic uremic syndrome (TTP-HUS) Scleroderma Atheroembolic disease Large vessel diseases associated with AKI include Renal artery dissection Thromboembolism Thrombosis Renal vein compression or thrombosis Ref: Harrison, E-18, P-2296.